An 76 year lady had a history of a red facial rash suffered venous eczema of legs. She was treated for acne rosacea by her GP. On examination, she had bluish pigmentation on both the legs. What drug is likely to have caused this?
1. Amiodarone
2. Hydroxychloroquine
3. Minicycline
4. Amocycillin

Correct answer: 3. Minicycline

Explanation: Ans:C.)Minocycline